Ratio of lung weight to body weight is calculated in
1. Fodere's test
2. Plocquet's test
3. Breslau's second life test
4. All of the above

Correct answer: 2. Plocquet's test

Explanation: Plocquet's test is one of the tests for live birth.
Before respiration: Ratio of lung weight to body weight is I/70.
After respiration: Ratio is 1/35.